Embryologically cerebellum is derived from:
1. Prosencephalon
2. Mesencephalon
3. Rhombencephalon
4. Metancephalon

Correct answer: 4. Metancephalon

Explanation: Metancephalon